Hydrolysis of which of the following yields 10.5 Kcal energy?
1. ATP
2. GTP
3. UTP
4. Creatine phosphate

Correct answer: 4. Creatine phosphate

Explanation: ANSWER: (D) Creatine phosphateREF: Harper 28th ed Table 11-1Free Energy of Hydrolysis of Some Organophosphates of Biochemical Importance DGdegCompoundkJ/molkcal/molPhosphoenolpyruvate-61.9-14.8Carbamoyl phosphate-51.4-12.31,3-Bispbosphoglycerate (to 3-phosphogiycerate)-49.3-11.8Creatine phosphate-43.1-10.3ATP - AMP + PPi-32.2-7.7ATP - ADP + Pi-30.5-7.3Glucose 1-phosphate-20.9-5.0PPi-19.2-4.6Fructose 6-phosphate-15.9-3.8Glucose 6-phosphate-13.8-3.3Glycerol 3-phosphate-9.2-2.2